Call Exner Bodies are seen in :
1. Dyserminomas
2. Hilus cell tumours
3. Brenner's
4. Granulosa cell tumours

Correct answer: 4. Granulosa cell tumours

Explanation: Granulosa cell tumours